A 5 year old child presents with a red colored localized rash on his back. The dermatologist gave a diagnosis of Pityriasis rosea, and assured the mother that it is a self limiting disease and would resolve on its own. The mother is concerned, as it has already been 10 days, and the rash hasn't subsided. How long does the rash usually last for from the time of onset?
1. 15 days
2. 6 weeks
3. 5 months
4. 5 days

Correct answer: 2. 6 weeks

Explanation: Pityriasis rosea (PR) : The eruption tends to be moderately pruritic and lasts 6-12 weeks The herald patch is followed in a few days to a few weeks by the appearance of many smaller annular or papular lesions with a predilection to occur on the trunk.